Crura of penis is supplied by -
1. Dorsal artery of penis
2. Deep artery of penis
3. External pudendal artery
4. Obturator artery

Correct answer: 2. Deep artery of penis

Explanation: Ans. is 'b' i.e.. Deep artery of penis o Interna] pudendal artery on each side enters the deep perineal pouch and passes forward, giving rise toArtery to the bulp of penis.Arteries to crura of the penis (deep artery of penis).Dorsal artery of penis which suppies the skin and fascia of penis.